Blood supply of liver in ml/min. is -
1. 500
2. 1500
3. 3000
4. 5000

Correct answer: 2. 1500

Explanation: Ans. is 'b' i.e., 1500 o Blood supply of liver is total 1500 ml/min. or 57.7 ml/min./100 gm of liver (as weight of liver is around 2.6 kg).o Sympathetic system is responsible for ejaculation. Erection is mediated by parasympathetic system.Effects of sympathetic system1.Heart-(due to b1 actions)i) |heart rate, (Positive chronotropic)ii) |force of cardiac contraction (Positive ionotropic)iii) Conduction velocity in the conductive tissues of heart is increased (Positive dromotropic)iv) Increased automaticity (positive bath inotropic)v) Refractory Period (RP) of all type of cardiac cells is reduced. This makes sense, because with a fight or flight response, heart rate increases, as a consequence of:|Conduction velocity (Positive dromotropic)|Refractory period (so that cardiac tissue becomes excitable in a shorter span on time)2 Blood vesselso Stimulation of a1 receptors cause vasoconstriction. Stimulation of b2 receptors cause vasodilation. Vasoconstriction (a1 receptors) predominate in skin, mucosal, renal andsphianchnic blood vessels. Dilatation (b2 receptors) predominate in skeletal muscles, liver and coronary blood vessels. The direct effect on cerebral vessels is not prominent - blood flow through this bed parallels change in BP. Renal vessels contain both a1 (vasoconstriction) and D1 (vasodilatiator) receptor. Therefore sympathetic stimulation cause less increase in vascular resistance as compared to other sites where sympathetic stimulation causes vasconstriction.3. Urinary systemo Relaxation of detrusor (b2 action) and contraction of trigone (a, action) - urinary retention.4 GITo Relaxation of smooth muscles by direct action of b2 receptors and indirect action of a, receptors (a2 receptors decrease the release of ACH by acting presynaplicaliy on cholinergic neurons).5. Respiratory systemo Bronchial smooth muscles have b2 receptors but no sympathetic supply. b2 receptor agonists (exogenous drugs) can cause bronchodilation There is vasoconstriction of mucosal blood vessels of respiratory' tract -further increase in diameter of bronchus. Overall there is decrease in resistance.6 Eyeo Mydriasis - Due to contraction of radial muscles (Dilator pupillae) of iris by a, receptors.7. Genital systemo Relaxation of uterus -b2 receptorso Ejaculation- a1. receptors.8. Secretory glandso Sweating is increased due to cholinergic sympathetic receptors (M3)9. Metabolico Lipotysis -b3 receptorso |gluconeogenesis and glycogenolysis - b2 action. o Hyperkalemia followed by hypokalemia - (b2, action.o | insulin release from pancreas - a2 action.o |glucagon secretion - b2 action.o Overall there is hyperglycemia, hyperlipidemia.10 Kidneyo | renin release from JG cells - b1 receptors.11. b2 stimulation causes tremors.